Intraepidermal intercellular IgG deposition is seen in –
1. Pemphigus
2. Bullous pemphigoid
3. Herpes genitalis
4. Not recalled

Correct answer: 1. Pemphigus